Extradural haemorrhage is due to
1. Rupture of middle meningeal artery
2. Rupture of anterior meningeal artery
3. Rupture of posterior meningeal artery
4. Rupture of middle cerebral artery

Correct answer: 1. Rupture of middle meningeal artery

Explanation: A. i.e. (Middle meningeal artery) (2597 - HI 7th)* Extradural (epidural) haemorrhageMiddle meningeal artery* Subdural haemorrhageSuperior cerebral artery vein* Sub arachnoid haemorrhageBerry aneurysm* Intracerebral haemorrhageHypertension* Contusions are easily visible on CT and MRI scans, appearing as in homogeneous hyperdensities On CT and as hyperintensities on MRI (2597 - HI7th).